All are true about measles except -
1. Incubation period is 10-14 days
2. Secondary attack rate is 30-40%
3. Sub cutaneous vaccine is available
4. Vaccine is live attenuated

Correct answer: 2. Secondary attack rate is 30-40%

Explanation: SAR of measles is approximately 80%.